Shiga toxin is preduced by?
1. Enteropathogenic E coli
2. Enteroinvasive E coli
3. Enterohemorrhagic E coli
4. Enterotoxigenic E coli

Correct answer: 3. Enterohemorrhagic E coli

Explanation: Ans. is 'c' i.e., Enterohemorrhagic E coli